A patient presents to the emergency department with history of persistent fever & cough. Radiological features are suggestive of pneumonia. Sputum examination cultures reveal aerobic branching Gram positive filaments that are partially acid fast.Which of the following is the most likely etiological agent -
1. Actinomyces israeli
2. Nocardia asteriodes
3. Aspergillus fumigatus
4. Staphylococcus aureus

Correct answer: 2. Nocardia asteriodes

Explanation: Ans. is 'b' i.e., Nocardia asteroides . Information in this question are :? i) Aerobic organism. ii) Branching filament. iii) Gram positive iv) Partially acid fast v) Patient has pneumonia Among the given options only Nocardia asteroides is acid fast. Nocardia is strict aerobe, acid fast, Gram positive and branching beaded filamentous. Most common clinical manifestation of Nocardia is pneumonia.